Zoonotic disease of viral etiology include -
1. Q fever
2. Rickettsiae disease
3. Rabies
4. Rubella

Correct answer: 3. Rabies

Explanation: Ans. is 'c' i.e., Rabies o Among the given options only rubella and rabies are viral infections and rubella is not a zoonosis.